Obermeyer test comes out to be positive in which disease
1. Hartnup's disease
2. Phenylketonuria
3. Alkaptonuria
4. Pellagra

Correct answer: 1. Hartnup's disease

Explanation: Amino acid Trytophan gives obermeyer test positive.
Hartnup's disease is characterised by impaired absorption of neutral amino acids especially tryptophan.
Thus Tryptophan gets excreted in large amounts and gives positive obermeyer test.